Triple assessment for CA Breast includes:
1. History, clinical examination and mammogram
2. History, clinical; examination and FNAC
3. USG, mammogram and FNAC
4. Clinical examination, mammogram and FNAC

Correct answer: 4. Clinical examination, mammogram and FNAC

Explanation: Ans. (d) Clinical examination, Mammogram and FNAC(Ref: Schwartz 10/e p - 522-523)* Positive predictive value of Triple Assessment = 99.9%